Oxidation pond is used in _____ treatment
1. Sewage
2. Effluent
3. Night soil
4. Sullage

Correct answer: 1. Sewage

Explanation: Oxidation ponds: It is a cheap method of sewage treatment Aka waste stabilization pond, redox pond, sewage lagoons, etc. It is an open shallow pool 1 to 1.5 m deep with an inlet and outlet there must be the presence of algae, certain bacterias, and sunlight. Park's Textbook of Preventive and Social Medicine, 25th Edition, Pg 825